Steady state concentration is achieved in how many half-lives:
1. 3-Feb
2. 4-Mar
3. 5-Apr
4. 6-May

Correct answer: 3. 5-Apr

Explanation: Ans. C. 4-5If fixed dose of drug is administered at regular intervals. Rate of administration becomes equal to rate of elimination. Plasma concentration stabilizes. This is known as steady state concentration. Time taken to reach steady state is 4-5 half lives.